The compression fracture is commonest in
1. Cervical spine
2. Upper thoracic spine
3. Lower thoracic spine
4. Lumbosacral region

Correct answer: 3. Lower thoracic spine

Explanation: C i.e. Lower thoracic spine - Aproximately 90% of all spinal fractures occur in the thoracic and lumbar spines. Infact, the majority of thoracic and lumbar injuries occur with in the region between T11 & L1, commonly referred as thoraco- lumbar junction. - Compression/ wedge fractures involves bucking , or fracture of anterior and middle aspect of vertebral body (unlike burst , there is no involvement of posterior vertebral body). Axial loading with a flexion movement is the mechanism of injury. - Osteoporosis is the most common cause of multiple compression fractures - Compression fractures are most common in thoracolumbar spineQ (lower dorsal > upper lumbar)Q.